Which is not true regarding Bernard soulier syndrome?
1. Ristocetin aggregation is normal
2. Aggregation with collagen and ADP is normal
3. Large platelets
4. Thrombocytopenia

Correct answer: 1. Ristocetin aggregation is normal